Relatively newer agent latanoprost is now being used. Which of the following statements is true regarding this agent?
1. It is PGF2α derivative used in glaucoma
2. It is selective α1 blocker used in benign hypertrophy of prostate
3. It is a 5α reductase inhibitor used to reduce the size of enlarged prostate gland
4. It is a PGE2  analogue used intravaginally for cervical priming

Correct answer: 1. It is PGF2α derivative used in glaucoma